All are corneal signs of Trachoma except -
1. Herbert follicles
2. Pannus
3. Opacity
4. Arlt's line

Correct answer: 4. Arlt's line

Explanation: Arlst's is a conjunctival sign (not corneal). Signs of Trachoma Conjunctival signs :- Congestion, conjunctival follicles (boiled sagograin like), Papillary hyperplasia, conjunctival scarring (Arlt's line), concretion. Corneal signs :- Superficial keratitis, Herbert follicles, Pannus, Corneal ulcer, Herbert pits, Corneal opacity. Ref: Parson 22nd/e p.172-174 & 21st/e p.172-174; Khurana 7th/e p.67 & 4th/e p.62-64